Drug of choice for tetanus:
1. Metronidazole
2. Penicillin
3. Erythromycin
4. Clindamycin

Correct answer: 1. Metronidazole

Explanation: Ans. (a) MetronidasoleMust know points for tetanus (8th day illness presenting with lock jaw)* Penicillin G was considered the drug of choice, but some now consider metronidazole to be superior in this setting. Tetracycline is an alternative for patients who are allergic to penicillin or metronidazoleTetanus immunoglobulin is used to1. Prevent tetanus and to treat patients with circulating tetanus toxin and provides passive immunity.2. Treat all patients with active tetanus, in combination with other supportive and therapeutic treatments.